Regarding testicular tumour, the following are false except -
1. They are commonest malignancy in older man
2. Seminomas are radiosensitive
3. Only 25% of Stage 1 teratomas are cured by surgery alone.
4. Chemotherapy rarely produces a cure in those with metastatic disease

Correct answer: 2. Seminomas are radiosensitive

Explanation: Seminomas are well known to be one of the most radiosensitive tumors
About other options 

Option (a) : Commonest malignancy in older males is → Prostate cancer
Option (c) : Stage I Nonseminomas (including teratomas) are t/t by surgery alone and show a high cure rate (>95%)



Option (d) : Chemotherapy shows a good response in advance stage testicular tumors.